Mosquitoes decrease as height increases ?
1. Positive correlation
2. Negative correlation
3. Bidirectional
4. Zero

Correct answer: 2. Negative correlation

Explanation: Ans. is 'b' i.e., Negative correlation o This is a negative correlation, i.e. when height increases the mosquitoes decrease.